Reverse transcription causes synthesis of:-
1. RNA from DNA template
2. DNA from RNA template
3. RNA from RNA template
4. DNA from DNA template

Correct answer: 2. DNA from RNA template

Explanation: Reverse transcription - synthesis of DNA from RNA template Reverse transcriptase is RNA dependent DNA polymerase Reverse transcriptase is responsible for the formation of DNA from RNA